Syndrome characterized by an elaborate delusion that the patient is passionately loved by another person is also known as:
1. Ekbom's syndrome
2. De Clerambault's syndrome
3. Querulous paranoia
4. Othello syndrome

Correct answer: 2. De Clerambault's syndrome

Explanation: Erotomania (de Clerambault's syndrome): Condition in which a person holds a delusional belief that another person, usually of a higher social status, is in love with him/her. Erotomanic tries to get close to the person through telephone calls, e-mails, letters, gifts and visits. MC in women than in men. Ekbom syndrome (delusions of parasitosis): A form of psychosis wherein the patients acquire a delusional belief that they are infested with parasites, whereas in reality no such parasites are present. Cotard delusion/syndrome: Person holds a delusional belief that he is dead, does not exist, is putrefying or has lost his blood or internal organs. Delusion of infidelity/jealousy (Othello syndrome): Person holds a delusional belief that his spouse is unfaithful. Males are more affected.